Radiation dose to patient can be reduced by all of the following except
1. Speed film
2. Filters
3. By increasing target object distance
4. Decreasing kilovoltage potential

Correct answer: 4. Decreasing kilovoltage potential

Explanation: Increasing kVp potential reduces radiation exposure dose.